Which is the most common uterine malformation seen in cases of recurrent abortions?
1. Mullerian fusion defects
2. Uterine syncytium
3. Unicornuate uterus
4. Uterine agenesis

Correct answer: 1. Mullerian fusion defects

Explanation: Mullerian duct anomaly is an important cause of recurrent miscarriage in early and midtrimester. Septate or arcuate uterus is the most common uterine anomaly associated with mullerian fusion defects and it is the most common defect associated with repeated pregnancy loss.